Superior orbital fissure synd. includes
1. 3, 4, 5, 6 cranial nr
2. 3, 2, 4, 5 cranial nr
3. 2, 6, 3 cranial nr
4. 2, 5, 6 cranial nr

Correct answer: 1. 3, 4, 5, 6 cranial nr

Explanation: superior orbital fissure * lateral part lacrimal and frontal nerves, trochlear nerve, superior ophthalmic vein, meningeal branch of lacrimal artery, anastomotic branch of middle meningeal artery which anastomoses with recurrent branch of lacrimal artery. *middle part upper and lower divisions of oculomotor nerve, nasociliary nerve, abducent nerve * medial part inferior ophthalmic vein, sympathetic nerve from plexus around internal carotid artery Ref BDC volume 3; 6th edition pg 56